True about corpus callosum
1. Unite far area of two sides of brain
2. Connect two frontal lobe
3. Unite two hemisphere
4. All of the above

Correct answer: 4. All of the above

Explanation: Corpus callosum is the largest commissure of the brain interconnecting the identical/corresponding areas of two cerebral hemispheres. It connects all parts of neocortex except for the lower and anterior parts of temporal lobes. In its convex superior aspect is covered by a thin layer of greymatter- indusium griesum. ref - vishram singh neuroanatomy 2e pg163,164